Schistosomiasis is transmitted by ?
1. Cyclops
2. Fish
3. Snaile
4. Cattle

Correct answer: 3. Snaile

Explanation: Ans. is 'c' i.e., Snails Intermediate host for schistosoma sp. is snail.